A 7-year-old girl is brought with complaints of generalized swelling of the body. Urinary examination reveals grade 3 proteinuria and the presence of hyaline and fatty casts. She has no history of hematuria. Which of the following statements about her condition is true?
1. No IgG deposits or C3 deposition on renal biopsy
2. Her C3 level will be low
3. IgA nephropathy is the likely diagnosis
4. Alport's syndrome is the likely diagnosis

Correct answer: 1. No IgG deposits or C3 deposition on renal biopsy

Explanation: Grade 3 proteinuria, and the presence of hyaline and fatty cast in urine suggest the diagnosis of nephrotic syndrome.
Most common cause of nephrotic syndrome in a child is minimal change disease ( not IgA nephropathy or Alport syndrome)
In minimal change disease there is no deposition of immune reactants (immunoglobulin or complement), and serum complement levels are normal.